All of the following are true about excitation-contraction coupling except
1. Acetylcholine is released at the nerve terminal
2. Calcium is pumped back into the sarcoplasmic reticulum during relaxation
3. Calcium is released from sarcoplasmic reticulum during contraction.
4. Calcium binds to tropomyosin to initiate muscle contraction.

Correct answer: 4. Calcium binds to tropomyosin to initiate muscle contraction.

Explanation: Calcium binds to troponin to initiate exitation contraction coupling Troponin is present attached to tropomyosine Ref:Guyton and Hall textbook of medical physiology 12th edition,page number:82,83,84